Which of the following anti-arrhythmic agents does not belongs to class Ic?
1. Tocainide
2. Encainide
3. Flecainide
4. Propafenone

Correct answer: 1. Tocainide

Explanation: class 1a - Quinidine Ajmaline Procainamide Disopyramide CLASS 1B - Lidocaine Phenytoin Mexiletine Tocainide Class 1c- Encainide Flecainide Propafenone Moricizine Tocainide belongs to Ib drug. REF Essentials of Pharmacology KD Tripathi.8th ed.